Hypocomplementemia is seen -a) PSGNb) Membranous GNc) Focal segmenal GNd) MP GNe) Infective endocarditis
1. acd
2. bde
3. ade
4. ad

Correct answer: 3. ade